Sling psychrometer is used for measuring –
1. Air velocity
2. Rain fall
3. Median radiant temperature
4. Relative humidity

Correct answer: 4. Relative humidity